7Which is the most prominent spinous process?
1. T1
2. C7
3. C6
4. L5

Correct answer: 2. C7

Explanation: C7 is most prominent spinous process seen at the neck region just above T 1 vertebrae BD CHAURASIA HUMAN ANATOMY Vol 3